Agoraphobia associated with:
1. Social phobia
2. Obsessive compulsive disorder
3. Panic disorder
4. Anxiety disorder

Correct answer: 3. Panic disorder

Explanation: Ans. Panic disorder